Oxytocin challenge test for assessing fetal well being is contraindicated in all except :
1. Placenta previa
2. Previous 2 LSCS
3. Breech
4. Premature labour

Correct answer: 3. Breech

Explanation: Breech